Arrange the following stages of demographic cycle in order: I. High stationary II. Late expanding III. Low stationary IV. Early expanding
1. I, II, III & IV
2. I,III, IV & II
3. I, IV, III & II
4. I, IV, II & III

Correct answer: 4. I, IV, II & III

Explanation: First stage (High stationary): This stage is characterised by high birth and death rate which cancel out each other and the population remains stationary. Second stage (Early expanding): The death rate begins to decline, while the birth rate tends to fall. Many countries in South Asia and Africa are in this phase. Third stage (late expanding): The death rate of the population is on declining trend. The birth rates are also falling. The population continues to grow as birth rate exceeds deaths. India is currently in this phase. Fourth stage (Low stationary): This stage is characterised by low birth and death rate with a result that the population becomes stationary as in Austria in 1980 to 1985. Fifth stage (declining): Population begins to decline because th birth rate is lower than the death rate. Ref: Park, 22nd edition pg: 441